Vossious ring occurs in:
1. Penetrating injury
2. Concussion injury
3. Lens dislocation
4. Extracapsular extraction

Correct answer: 2. Concussion injury

Explanation: Concussion injury